Among the pulses, the highest quantity of protein is present in -
1. Green gram
2. Red gram
3. Soyabean
4. Black gram

Correct answer: 3. Soyabean

Explanation: Among tha pulses soybean contain 40percent of protein. REF. PARK'S TEXTBOOK OF PREVENTIVE AND SOCIAL MEDICAL 21ST EDITION. PAGE NO - 580